A patient with hoarseness of voice was found to be having pachydermia laryngis. All of the following are true except:
1. It is a hyperkeratotic lesion present within the anterior two-third of the vocal cords
2. It is not premalignant lesion
3. Diagnosis is made by biopsy
4. On microscopy it shows acanthosis and hyperkeratosis

Correct answer: 1. It is a hyperkeratotic lesion present within the anterior two-third of the vocal cords

Explanation: Pachydermia laryngis is a hyperkeratotic lesion involving posterior part of larynx. It is not premalignant. Biopsy is essential to exclude tuberculosis and cancer.